The denominator of the crude death rate is?
1. 1000 live birth
2. Mid year population
3. Total number of deaths in a community
4. Total number of case population in community

Correct answer: 2. Mid year population

Explanation: ref: Park's 22nd edition pg 54 Crude death rate = (No. of deaths during the year / mid-year population) x 100